Which one of the following nerves is not encountered during submandibular gland resection?
1. Lingual nerve
2. Hypoglossal nerve
3. Accessory nerve
4. Marginal mandibular nerve

Correct answer: 3. Accessory nerve